Indications for exchange transfusion are all except?
1. Unconjugated bilirubin > 18 mg/100 ml
2. Cord hemoglobin < 10 mg/100 ml
3. Cord bilirubin < 5 mg/100 ml
4. Bilirubin protein ratio > 3.5

Correct answer: 3. Cord bilirubin < 5 mg/100 ml

Explanation: Ans. is 'c' i.e., Cord bilirubin < 5 mg/100 ml Cord bilirubin 5 or more is an indication.